Seminoma corresponds to
1. Choriocarcinoma
2. Dysgerminoma
3. Granulosa tumour
4. Luteal cyst

Correct answer: 2. Dysgerminoma

Explanation: Seminoma A seminoma typically has a cut surface that is homogeneous and pinkish cream in colour. It appears to compress neighbouring testicular tissue. It corresponds to dysgerminoma of ovaries. It consists of oval cells with clear cytoplasm and large, rounded nuclei with prominent acidophilic nucleoli. Sheets of cells resembling spermatocytes are separated by a fine fibrous stroma. Active lymphocytic infiltration of the tumour suggests a good host response and a better prognosis. There are two histological variants, one with a more anaplastic appearance and another that is characterised by cells that closely resemble different phases of maturing spermatogonia (spermatocytic seminoma). Seminomas metastasise mainly the lymphatics and haematogenous spread is uncommon. The lymphatic drainage of the testes is to the para-aortic lymph nodes near the origin of the gonadal vessels. The contralateral para-aortic lymph nodes are sometimes involved by tumour spread, but the inguinal lymph nodes are affected only if the scrotal skin is involved. Ref: Bailey and love 27th edition Pgno : 1506